All except one predispose to angle closure glaucoma –
1. Small cornea
2. Flat cornea
3. Shallow AC
4. Short axial length of eye ball

Correct answer: 2. Flat cornea

Explanation: Predisposing factors for PACG :- i) Shallow anterior chamber, ii) Short eye (short axial length), iii) Smaller corneal diameter, iv) Anterior location of iris-lens diaphragm, v) Hypermetropic eye, vi) Large lens (older cataractous).